C peptide is part of:
1. Pro-insulin
2. Insulin
3. ACTH
4. Growth hormone

Correct answer: 1. Pro-insulin

Explanation: C-peptide is a peptide that is made when proinsulin is split into insulin and C-peptide.